Late deceleration indicates :
1. Head compression
2. Cord compression
3. Fetal hypoxia
4. Breech presentation

Correct answer: 3. Fetal hypoxia

Explanation: Ans. is c i.e. Fetal hypoxia